Aspirin-sensitive asthma is associated with -
1. Obesity
2. Urticarisis
3. Nasal polyp
4. Extrinsic asthma

Correct answer: 3. Nasal polyp